Human immunoglobulins are divided based on
1. Functional differences
2. Structural differences
3. Complement fixation
4. None of the above

Correct answer: 2. Structural differences